Sympathomimietic causing increase in mean blood pressure, heart rate and cardiac output on intravenous infusion is?
1. Adrenaline
2. Isoprenaline
3. Norepinephrine
4. Phenylephrine

Correct answer: 1. Adrenaline

Explanation: Ans. is 'a' i.e., Adrenaline